Which of the following is true in respect to the ciliary ganglion?
1. Sympathetic fibers synapse in the ciliary ganglion
2. Afferent fibers from the iris and cornea pass through the ganglion
3. The ganglion is located between the optic nerve and medial rectus
4. Parasympathetic fibers in the ganglion are derived from CN VII

Correct answer: 2. Afferent fibers from the iris and cornea pass through the ganglion

Explanation: Afferent fibers from the iris and cornea pass through the ciliary ganglion.